Management of stage 11B cancer cervix is?
1. Radiotherapy
2. Radiotherapy with combination with chemotherapy
3. Chemotherapy
4. Hysterectomy

Correct answer: 2. Radiotherapy with combination with chemotherapy

Explanation: Radiotherapy with combination with chemotherapy REF: Shaw's 13th ed p. 390 TRETMENT OF CERVICAL CANCER: Stage Treatment 1ARTI Cone or simple hysterectomy with life long follow up LA2 , 1B , Ila Radical hysterectomy with b/l pelvic lymphadenectomy (wetheim's operation , schauta's radical vaginal hysterectomy , mitra's modification ) IIB , III , IV Radiation with or without chemotherapy